Nuclear cytoplasmic ratio in malignant cells is
1. 1:06
2. 1:05
3. 1:01
4. 6:04

Correct answer: 3. 1:01